All of the following features are common for both cangrelor & Ticagrelor except
1. They are antiplatelet drugs
2. The reversibly inhibit ADP
3. Both drugs can be given orally
4. Both drugs have short half life

Correct answer: 3. Both drugs can be given orally

Explanation: Only Ticagrelor can be given orally, cangrelor is given intravenously.